The regional arterial resistance of the mesentery and kidney is reduced by-
1. Dopamine
2. Nor adrenaline
3. Adrenaline
4. Isoprenaline

Correct answer: 1. Dopamine

Explanation: The D1 receptor in renal and mesenteric blood vessels are the most sensitive. I/V infusion of low dose of dopamine dilates these vessels (by raising intracellular cAMP). This increases GFR in addition dopamine exerts natriuretic effect by D1 receptors on proximal tubules.